Brace used in scoliosis is?
1. Milwaukee Brace
2. LS Belt
3. Taylors Brace
4. Four post collar

Correct answer: 1. Milwaukee Brace

Explanation: Milwaukee Brace is used in scoliosis OTHER OPTIONS: Four post collar- cervical spine injury Lumbo-Sacral belt- Lower back pain Taylors brace: Dorsol-umbar trauma